A 40 year old female patient complains of excessive bleeding. Patient gives a history of RTA 6 hours ago. General physical examination reveals altered mental status. Further investigations suggest
Blood lactate level – 2.5 mmol/L
Urine output – reduced
Blood pressure – 80/50 mmHg
Pulse – 130 bpm
Respiratory rate – 24/minute
The patient is in which stage of shock?
1. Compensated
2. Mild decompensated
3. Moderately decompensated
4. Severely decompensated

Correct answer: 3. Moderately decompensated